Staphylococcal scalded skin syndrome is caused by-
1. Hemolysin
2. Coagulase
3. Enterotoxin
4. Epidermolytic toxin

Correct answer: 4. Epidermolytic toxin

Explanation: Option 1 Hemolysin: RBC lysis Option 2 Clumping factor/Bound coagulase: Responsible for slide coagulase reaction. Option 3 Enterotoxins: Cause food poisoning. Option 4 Epidermolytic (Exfoliative toxin) toxins of S aureus are 2 distinct proteins Exfoliative toxin A- encoded by beta located on a phage, is heat stable. Exfoliative toxin B - plasmid mediated and heat labile. These toxins are superantigens causing: Scalded skin syndrome (Nikolsky's sign +ve) Severe- Ritter disease (newborn), toxic epidermal necrolysis (TEN) (adult) Milder- Pemphigus neonatorum, bullous impetigo